Multiplying factor of estimating from femur (male) is:
1. 3.6-3.8
2. 4.1-4.8
3. 4.9-5.6
4. 5.8-6.0

Correct answer: 1. 3.6-3.8

Explanation: A i.e. 3.6 - 3.8 As a general rule humerus is 20%Q, tibia is 22%Q, femur is 27%Q and spine is 35%Q of individual height - If complete skeletal length is available, to obtain stature 2.5 cm is added for soft parts. - Femur & tibia give more accurate results than humers & radius. Even then the error may be upto 2.5 cms - Hepburn osteometric board modified by Trevor is most commonly used.